A patient with GCT which of the following is false:-
1. Epiphyseo-metaphyseal location
2. Eccentric
3. Defined margins
4. Chemotherapy is the mainstay of treatment

Correct answer: 4. Chemotherapy is the mainstay of treatment

Explanation: * GCT occurs in epiphyseao-metaphyseal area.* It is eccentric in location and goes till the joint.* It is a locally aggressive tumor with defined margins.* The treatment of choice is extended curettage with autograft.